To what extent must the oxygen content be reduced before an explosion of methane and air is impossible?
1. 12 percent
2. 10 percent
3. 11 percent
4. 7 percent

Correct answer: 1. 12 percent

Explanation: For a mixture of strictly methane and air, the oxygen content must be 12 percent or less. 
It is however, significant to note that there is a combination of combustible gases following explosions and during fires.
So the maximum allowable oxygen will vary according to variations in the combustible and inert gases.